For male differentiation to occur during embryonic development, testosterone must be secreted from the testes. What stimulates the secretion of testosterone during embryonic development?
1. LH from the maternal pituitary gland
2. HCG
3. Inhibin from the corpus luteum
4. GnRH from the embryo's hypothalamus

Correct answer: 2. HCG

Explanation: HCG also binds to LH receptors on the interstitial cells of the testes of the male fetus, resulting in the production of testosterone in male fetuses up to the time of birth. This small secretion of testosterone is what causes the fetus to develop male sex organs instead of female sex organ.